The earliest congenital anomaly identified by ultrasound is:
1. Hydrocephalus
2. Encephalocele
3. Spina bifida
4. Anencephaly

Correct answer: 4. Anencephaly

Explanation: Ans. (d) AnencephalyRef.: Nelson 18th ed./Ch. 592.6* Anencephaly is absence of cranial vault posteriorly with brain and meninges exposed.This condition can be detected by antenatal USG as early as 11-12 weeks.